Which of the following structure is intracapsular ?
1. Short head of biceps brachii
2. Medial head of triceps brachii
3. Long head of triceps brachii
4. Long head of biceps brachii

Correct answer: 4. Long head of biceps brachii

Explanation: Fibrous capsule envelopes the shoulder joint and is attached medially to the glenoid neck at a variable distance from the glenoid labrum,so forming recesses anterior and posterior to the scapular neck. The capsule includes the supraglenoid tubercle,to which the long head of biceps attaches,and which is therefore intracapsular. Ref: Gray's Anatomy The Anatomical Basics of Clinical Practice 41 e pg 813.